Difference between incised wound & heat rupture, favouring heat rupture are -
1. Margins well defined
2. Small & multiple wounds
3. Nerves & vessels around are visible in floor
4. Seen only over scalp

Correct answer: 3. Nerves & vessels around are visible in floor